Ultrasonic scalers vibrate at approximately
1. 25000 cycles per second
2. 15000 cycles per second
3. 10000 cycles per second
4. 50000 cycles per second

Correct answer: 1. 25000 cycles per second